The most sensitive test for DIC is:
1. Serum fibrinogen levels
2. Serum levels of fibrin degradation products (FDP)
3. Prolonged PT and PTT
4. Thrombocytopenia

Correct answer: 2. Serum levels of fibrin degradation products (FDP)

Explanation: Answer is B (Serum FDP) The most sensitive test for DIC is the FDP level - Harrisons FDP levels and DIC The most sensitive test for DIC is the FDP level DIC is an unlikely diagnosis in the absence of normal FDP The D-Dimer test is a specific test for detection of FDP and indicates that the cross linked fibrin has been digested by plasmin Note Because fibrinogen has a prolonged half life, plasma levels diminish acultely in only severe cases of DIC. Low fibrinogen levels predict the tendency of bleeding in DIC Q Most sensitive test for DIC is - Elevated FDP levels Q Most sensitive test for DIC that predicts tendency of bleeding in - Serum Fibrinogen levels